Proteins are sorted by
1. Golgi bodies
2. Mitochondria
3. Ribosomes
4. Nuclear membrane

Correct answer: 1. Golgi bodies

Explanation: Because of the complex internal organization of The first step in protein sorting takes place while , the , and secretion from the cell are synthesized on The endoplasmic reticulum, Golgi apparatus, and lysosomes are thus distinguished from other cytoplasmic organelles by their common involvement in protein processing and connection by vesicular transport.Ref: DM Vasudevan, 7th edition, page no: 605